What must an instrument do to completely clean the canal space?
1. Be deflected at the canal orifice
2. Be 2 to 3 mm short of the radiographic apex
3. Fit loosely into the canal
4. Contact all walls and surfaces

Correct answer: 4. Contact all walls and surfaces